A patient presented with minimal Rt. sided pleural effusion. The best method to detect this would be
1. Rt. lateral
2. Left Lateral
3. Left lateral decubitus
4. Right lateral decubitus

Correct answer: 4. Right lateral decubitus

Explanation: D i.e. Right lateral decubitus Ipsilateral decubitus is investigation of choice for minimal pleural effusionQ